Rupture of an ear drum may occur at the noise level above :
1. 120 dB
2. 160 dB
3. 90 dB
4. 80 dB

Correct answer: 2. 160 dB

Explanation: Ans. B 160 Ref: Park; 22nd edi, pg -668Deafness is the most serious pathological effect of noise. Temporary hearing loss occur in frequency range between 4000 and 6000 Hz.Repeated or continuous exposure to noise around 100 decibels may result in a permanent hearing loss.Non-auditory effects include interference with speech, annoyance, reduction in efficiency, and psychological changes such as rise in BP, rise in intracranial pressure, an increase in heart rate, breathing and sweating.Exposure to noise above 160 dB may rupture the tympanic membrane and cause permanent loss of hearing.